All are features of organophosphorous poisoning except -
1. Dilated pupil
2. Bradycardia
3. Lacrimation
4. Sweating

Correct answer: 1. Dilated pupil

Explanation: There is constricted pupil/miosis (not dilated pupil).